Optic tract is related to :
1. Olivary mucleus
2. Lat. Geniculate body
3. Medial geniculate body
4. Trapezoid body

Correct answer: 2. Lat. Geniculate body

Explanation: B. i.e. Lateral geniculate body